Post partum hemorrhage is present when blood loss exceeds :
1. 200 c.c.
2. 400 c.c.
3. 500 c.c.
4. 700 c.c.

Correct answer: 3. 500 c.c.

Explanation: 500 c.c.